Apparent lengthening of limb is seen in which TB hip stage of?
1. 1
2. 2
3. 3
4. 4

Correct answer: 1. 1

Explanation: TUBERCULOSIS OF HIP: INITIAL FOCUS IN ACETABULUM (MOST COMMON SITE) AND FEMUR (BABCOCK'S TRIANGLE) staging of T.B hip is given in treasure attached Stages of TB arthritis: Hip 1. Stage of synovitis: flexion, abduction, external rotation - apparent lengthening 2. Stage of early arthritis: flexion, adduction, internal rotation - apparent shortening (<1cm) 3. Stage of late arthritis: flexion, adduction, internal rotation - true shortening (>1cm) 4. Stage of subluxation (wandering acetabulum): pestle and mortar deformity (large acetabulum and small head of femur) 5. Stage of fibrous ankylosis.